ROME (reorientation of medical education) scheme was introduced consequent to the recommendation of:
1. Shrivastav committee
2. Chaddah committee
3. Mukerjee committee
4. Kartar Singh committee

Correct answer: 1. Shrivastav committee

Explanation: Ans. A: Shrivastav committee Shrivastav committee was set up in 1974 to suggests steps for improving the existing medical educational processes as to provide due emphasis on the problems particularly relevant to national requirements SHRIVASTAV COMMITTEE. 1975. This committee was set up in 1974 as "Group on Medical Education and Support Manpower" to determine steps needed to - Reorient medical education in accordance with national needs and priorities and - Develop a curriculum for health assistants who were to function as a link between medical officers and MPWs. It recommended immediate action for: - Creation of bonds of paraprofessional and semiprofessional health workers from within the community itself. - Establishment of 3 cadres of health workers namely - multipurpose health workers and health assistants between the community level workers and doctors at PHC. - Development of a "Refferal Services Complex" - Establishment of a Medical and Health Education Commission for planning and implementing the reforms needed in health and medical education on the lines of University Grants Commission. - Acceptance of the recommendations of the Shrivastava Committee in 1977 led to the launching of the Rural Health Service.